Dorsal root ganglion contains -
1. Dendrides of motor neuron
2. Dendrides of sensory neuron
3. Body of motor neuron
4. Body of sensory neuron

Correct answer: 4. Body of sensory neuron

Explanation: Ans. is 'd' i.e., Body of sensory neuron o The various sensations from the sensory receptors are carried to the spinal cord through the spinal nerves. As thespinal nerve approaches the spinal cord, it divides into the dorsal (sensory) roots and ventral (motor roots). Ganglion for dorsal root (Le. dorsal root ganglion - DRG) contains the cell body (soma) of sensory neuron, coming from the receptors. The axon of the sensory neuron enter the spinal cord (in dorsal root of spinal nerve) and terminates in the dorsal horn of spinal cord. The axons of DRG neuron (sensory neuron) may follow any of the following three routesi) First, A few branches synapses with motor neuron in the ventral horn of spinal cord either directly or through intemeurons, and motor neuron leaves through ventral root in same spinal nerve to complete the reflex arcs for spinal reflexes.ii) Second, they ascend up in the spinal cord towards the brainstem in specific tracts, resulting in conscious perception.iii) Third, they relay in reticular formation and nonspecific thalamic nuclei, resulting in general arousal.